Which of the following is a mature defence mechanism
1. Projection
2. Reaction formation
3. Anticipation
4. Denial

Correct answer: 3. Anticipation

Explanation: Mature defence mechanisms are sublimation, suppression, anticipation, altruism and humour Anticipation is the realistic thinking and planning about future unpleasurable events (Ref: a short textbook of psychiatry, Niraj Ahuja,7th edition, pg no 210)